Bias is defind as?
1. Spurious association between two variables
2. A quantified relationship between exposure and disease
3. Systematic error in determination of association between exposure and disease
4. Statistical technique used to evaluate the effect of a treatment by comparing treated and non treated

Correct answer: 3. Systematic error in determination of association between exposure and disease

Explanation: Bias is any systemic error in the determination of the association between exposure and diseases. The relative risk estimate may increase or decrease as a result of the bias. It reflects some type of no compatibility between the study and control groups. Ref: 25th edition, Park's Textbook of Preventive and Social Medicine, Page no. 81